Most common cause of HUS in children is
1. E coli 0157/H7
2. S typhi
3. Shigella
4. None

Correct answer: 1. E coli 0157/H7

Explanation: Ans. is 'a' i.e., E coli 0157/H7 The majority of HUS in children (90%) is related to prototypic diarrhea associated form, predominately in previously healthy children 6 months to 4 years of age with a peak between 1 and 2 years. Shiga toxin producing E coli (STEC) is the major cause of diarrhea associated HUS. Specifically, E coli with serotype 0157:H7 is the bacteria most commonly associated with HUS (90%) and is the most virulent. Other common bacteria implicated in causation of HUS are : Shigella dysenteriae Salmonella typhae Camphylobacter jejuni Yersinia species Pseudomonas species Clostridium difficle